Triad of biotin deficiency is
1. Dermatitis, glossitis, Steatorrhea
2. Dermatitis, glossitis, Alopecia (314-Basic 8th)
3. Mental changes, diarrhoea, Alopecia
4. Dermatitis, dementia, diarrhoea

Correct answer: 2. Dermatitis, glossitis, Alopecia (314-Basic 8th)

Explanation: (Dermatitis, glossitis, Alopecia) (407-H) (314-Basic pathology 8th)(Biotin deficiency) - clinical features -Adult = Mental changes (depression, hallucination), paresthesia, anorexia, nausea, A scaling, seborrheic and erythematous rash may occur around the eye, nose, mouth, as well as extremities (407-H)Infant = hypotonia, lethargy, apathy, alopecia and a characteristic rash that includes the ears.Symptoms of biotin deficiency includes - Anaemia, loss of apepite dermatitis, glossitis (150- U. Satyanarayan) Symptoms of biotin deficiency - Dermatitis "spectacle eyed" appearance due to circumocular alopecia, pallor of skin & membrane, depression, Lassitude, somnolence, anemia and hypercholesterolaemia - (173-Rana Shinde 6th)